A 5 year old male has injured his front teeth while playing. An occlusal radiograph was taken to assess the condition of the traumatized teeth and the underlying succedaneous teeth. What size of X-ray film is used for this radiographic technique?
1. 22x35mm
2. 24x40mm
3. 31x41mm
4. 57x76mm

Correct answer: 3. 31x41mm

Explanation: The ISO format 2 size is 31 × 41 mm and is probably the most common size used. It can be used for bitewing images, periapical images in children in a transitional dentition, in adolescents and adults, as well as for occlusal radiographs in the primary dentition.
The largest size is 57 × 76 mm (ISO format 4), typically used for occlusal radiographs of the mandible or maxilla in the mixed and permanent dentition.
Note: size 0 – 22x35 mm
           size 1 – 24x40 mm
           size 2 – 31x41 mm
           size 3 – 27x54 mm
           size 4 – 57x76 mm.